The proximal fragment of scaphoid after fracture is predisposed for Avascular Necrosis because:
1. Retrograde blood flow to the proximal fragment
2. Difficulty in immobilizing the proximal fragment
3. Fracture configuration of the proximal fragment is usually comminuted
4. Proximal Fragment articulates with the radius

Correct answer: 1. Retrograde blood flow to the proximal fragment

Explanation: A i.e. Retrograde blood flow to the proximal fragment